The term "id" was coined by
1. Weyker
2. Freud
3. Blueler
4. Skinner

Correct answer: 2. Freud

Explanation: In response to the unstructured ambiguity and conflicting uses of the term "the unconscious mind", Freud introduced the structured model of ego psychology (id, ego, super-ego) in the essay "Beyond the Pleasure Principle" (1920) and elaborated, refined, and made that model formal in the essay "The Ego and the Id According to Sigmund Freud's psychoanalytic theory of personality, the id is the personality component made up of unconscious psychic energy that works to satisfy basic urges, needs, and desires. The id operates based on the pleasure principle, which demands immediate gratification of needs. Ref Harrison20th edition pg 1378